Axillary nerve injury likely to be seen in:
1. Shoulder dislocation
2. Coracoid process fracture
3. Humerus shaft fracture
4. Brachial plexus injury

Correct answer: 1. Shoulder dislocation

Explanation: Axillary nerve is damaged due to the following causes: Shoulder dislocation(anterior/inferior) Fracture of upper end of Humerus Injection into deltoid muscle